Most common presentation of adult rhinosporidiosis is-
1. Halitosis
2. Pain
3. Anosmia
4. Polypoidal mass

Correct answer: 4. Polypoidal mass

Explanation: Rhinosporidiosis presents as soft leafy polypoidal mass.